Fetal hypoxia and acidosis are suggested by the following EXCEPT
1. Early deceleration
2. Late deceleration
3. Variable deceleration
4. Prolonged deceleration

Correct answer: 1. Early deceleration

Explanation: Ans. a (Early deceleration) (Ref. William's obstetrics 22nd ed., p 452)NONSTRESS TEST# Accelerations (defined as rise of acceleration to peak in < 30 seconds - in FHR baseline) are virtually always reassuring and almost confirm that the fetus is not acidemic at that time.# Early deceleration is physiological (not associated with fetal hypoxia or acidemia or low APGAR score).# Peaks/accelerations are increase in FHR by >_15 bpm for at least 15 seconds, it denotes healthy fetus.# Deceleration is decrease in FHR below baseline by 15 bpm.# Baseline variability of 5-25 bpm is a sign of fetal well-being.# Reduced baseline variability is seen in:- Fetal hypoxia,- Sleep phase,- Congenital malformation and- Drug intake by mother like sedatives and antihypertensives.# Normal fetal scalp pH is 7.25 to 3.35.NSTFetal statusPeaks/accelerations# Healthy fetusReduced baseline variability# Fetal hypoxia, sleep phase, congenital malformation and drug intake by mother like sedatives and antihypertensives.Early deceleration (Type I dips)# Head compressionLate deceleration# Chorioplacental insufficiencyVariable deceleration# Cord compression (may disappear with change in position of patient)Sinusoidal pattern# Fetal anemiaFetomaternal hemorrhageFetal hypoxiaNarcotics to mother